Which one of the following is NOT an absolute contraindication for oral contraceptive pills?
1. Cancer of breasts
2. Cardiac abnormalities
3. History of thrombo-embolism
4. Nursing mothers

Correct answer: 4. Nursing mothers

Explanation: Contraindications for use of oral contraceptive pills (OCPs):